Drug of choice of Neonatal seizure is –
1. Phenytoin
2. Phenobarbitone
3. Diazepam
4. Sodium valproate

Correct answer: 2. Phenobarbitone

Explanation: Drug of choice for Neonatal Seizure is → Phenobarbitone
Phenytoin can be used as an alternative if the seizures are not controlled.
Therapy Alogrithm includes
10% extrose followed by Calcium Gluconate, i.v. to control seizures
If no response  → Phenobarbitone